A 80 years old male presented with lung abscess in left upper zone. Best treatment modality is
1. Antibiotics according to organisms
2. Surgical drainage
3. Tube thoracostomy
4. Wait and watch

Correct answer: 1. Antibiotics according to organisms

Explanation: Ans. is 'a' i.e. Antibiotics according to organism